Fastest conduction is for -
1. Cold
2. Pain
3. Proprioception
4. Pressure

Correct answer: 3. Proprioception

Explanation: Ans. is 'c' i.e., Proprioception